Control of urea cycle involves the enzyme:
1. Carbamoyl phosphate synthetase
2. Ornithine transcarbamoylase
3. Argininosuccinase
4. Arginase

Correct answer: 1. Carbamoyl phosphate synthetase

Explanation: CPS-I reaction is the rate-limiting step in urea formation. It is irreversible and allosterically regulated.
Reference: Vasudevan 7th  ed, pg 203